Drug used for cocaine withdrawal symptoms is-
1. Floxetine
2. Lorazepam
3. Phenobarbital
4. No drug

Correct answer: 4. No drug

Explanation: Ans. is 'd' i.e., No drug "Tolerance develops swiftly but there are no withdrawal symptoms. Treament, if needed, is symptomatic. Often no medicines are needed and the user can stop its use by himself when he is coerced to do so by the court or the employer" - Namboodiri "No pharmacological agents reliably reduce the intensity of withdrawal, but recovery over a weak or two is generally uneventful" - Kaplan & Saddock